Which receptor is responsible for monitoring the rate of muscle stretch?
1. Nuclear bag intrafusal fibers
2. Nuclear chain
3. Golgi tendon organ
4. Pacinium corpuscles

Correct answer: 1. Nuclear bag intrafusal fibers